Artery forming anastomosis around the surgical neck of humerus is a branch of:-
1. 1st part of axillary artery
2. 2nd part of axillary artery
3. 3rd part of axillary artery
4. Subclavian artery

Correct answer: 3. 3rd part of axillary artery

Explanation: Arteries forming anastomosis around the surgical neck of humerus are anterior circumflex humeral arteries posterior circumflex humeral arteries Both are branches of 3rd part of axillary artery.